Two alleles expressing in heterozygous state is an example of
1. Codominance expression
2. Dominant expression
3. Recessive expression
4. Hemizygous expression

Correct answer: 1. Codominance expression